Which of the following conditions needs emergency endotracheal intubation?
1. GCS<7
2. Tension pneumothorax
3. Cardiac tamponade
4. Bleeding gastric ulcer

Correct answer: 1. GCS<7

Explanation: Ans. is 'a' i.e., GCS < 7 o See above explanation